Which of the following is not seen in mania
1. Hypersexuality
2. Hyperactivity
3. Decreased sleep
4. Clouding of consciousness

Correct answer: 4. Clouding of consciousness

Explanation: D i.e. Clouding of consciousnessDisorientation & clouding of consciousness is seen in organic brain syndromes (delirium)Q.